Smallest helminth among the following is:
1. Hymenolepis diminuta
2. Hymenolepis nana
3. Diphyllobothrium latum
4. Balantidium coli

Correct answer: 2. Hymenolepis nana

Explanation: Smallest helminth among the following is H nana also known as dwarf tapeworm with adult length of 15-44 mm. H. diminuta also known as rat tapeworm has a length of 20-60 cms. Balantidium coli is a large ciliated protozoan (50-130 um) and width 20-70 um) Diphyllobothrium latum can reach upto 30 fts.